Starling's law of the heart
1. Does not operate in the failing heart
2. Does not operate during exercise
3. Explains the increase in cardiac output that occurs when venous return is increased
4. Explains the increase in cardiac output when the sympathetic nerves supplying the heart stimulated

Correct answer: 3. Explains the increase in cardiac output that occurs when venous return is increased